Which of the following agents is not used in the treatment of Diabetic Macular Edema/Retinopathy:
1. Ruboxistaurim
2. Pyridazinones
3. Benfotiamine
4. Tamoxifen

Correct answer: 4. Tamoxifen

Explanation: Ans. (d) TamoxifenRef: Yanoff 3/e, p. 645Tamoxifen is known to cause retinopathy and macular edema as an adverse effect. It is not used in the treatment of Diabetic Macular edema or retinopathy.* Ruboxistaurin - PKC inhibitor* Pyridazinones/Spiroimides/corbotyliz acid -- aldose reductase inhibitors* Benfoliamine -|levels of AGE's